Fibroblast in healing wound derived from -
1. Local mesenchyme
2. Epithelium
3. Endothelium
4. Vascular fibrosis

Correct answer: 1. Local mesenchyme